Induction agent, having anti-emetic property is:
1. Thiopentone
2. Methohexitone
3. Propanidid
4. Propofol

Correct answer: 4. Propofol

Explanation: Propotol is used as induction agent, it cause decrease in blood pressure heart rate and vascular resistance. Nausea and vomiting is very rare (1 -2%), and less than with most other used agents.